True about Clostridium tetani is
1. It is gram positive
2. Subterminal spores
3. Grows in aerobic environment
4. It is gram negative

Correct answer: 1. It is gram positive

Explanation: Clostridium tetani is a gram-positive, slender bacillus, though there may be a considerable variation in length. The spores are spherical, terminal and bulging, giving the bacillus the characteristic "drumstick appearance". It is an obligatory anaerobe that grows only in the absence of oxygen. Reference: Textbook of Microbiology; Anathanarayan and paniker's; 10th edition; Page no: 264